One of the following does not cause increase in the size of spleen in later stages
1. Sickle cell anaemia
2. Cirrhosis
3. Infectious mononucleosis
4. Hairy cell leukaemia

Correct answer: 1. Sickle cell anaemia